In ovarian cycle increased levels of LH are due to:
1. Increased progesterone
2. Increased estrogen
3. Increased FSH
4. Increased androgens

Correct answer: 2. Increased estrogen

Explanation: Ans. b. Increased estrogen In ovarian cycle increased levels of LH are due to Increased estrogen.Estrogen has a positive feedback on LH near ovulation and therefore levels of LH are suddenly increased resulting in LH surge."With dramatic increase in estradiol, however there is a change in the LH feedback. There is initial suppression of LH with low levels of estradiols. It switches to positive feedback when estradiol levels reach 200 pg/ml. These high estrogen level also increases the production of more bioactive form of FSH and LH. This causes the dramatic bioovulatory LH surge causing 10 fold increase in LH. Sheila Balakrishnan l/e p34